Which is the fastest calcium lowering agents ?
1. Calcitonin
2. Plicamycin
3. Etidronate
4. Zoledronate

Correct answer: 1. Calcitonin